Not a muscle of Ist layer of foot
1. Flexor digitorum brevis
2. Abductor Hallucis
3. Abductor digiti minimi
4. Flexor digitorum accessorius

Correct answer: 4. Flexor digitorum accessorius

Explanation: Flexor digitorum accessorius is a muscle of 2nd layer of foot